True about exotoxin ?
1. Non-antigenic
2. Enzymatic
3. Non-protein
4. Heat stable

Correct answer: 2. Enzymatic

Explanation: Ans. is 'b' i.e., Enzymatic